Inulin clearance is equal to -
1. 55 ml / min
2. 625 ml / min
3. 125 ml / min
4. 40 ml / min

Correct answer: 3. 125 ml / min

Explanation: C i.e. 125 ml /min